Most common site of osteogenic sarcoma is -
1. Femur, upper end
2. Femur, lower end
3. Tibia, upper
4. Tibia, lower end

Correct answer: 2. Femur, lower end

Explanation: The most common site of involvement is metaphysis of long bone around knee : -
Lower end of femur (45%).
Upper end of Tibia (25%)